All are grass root worker's except –
1. Anganwadi workers
2. Traditional birth attendants
3. Village health guide
4. Health assitants

Correct answer: 4. Health assitants

Explanation: Gross root level workers are health workers at the lowest level, i.e., at village level.
Health assistant work at subs centre and PHC levels.
Primary health care in India
Primary health care can be divided into following levels : -

1. Village level (Grass root level)

To implement policy at village level, the following schemes are in operation.
Village health guides scheme
Training of local Dais
ICDS scheme → Anganwadi worker.
ASHA scheme


Sub-centre level
Primary health centre level
Community health centers level.